All of the following statements are true regarding human T cell leukemia virus 1 except:
1. It causes adult T cell lymphoma/leukaemia
2. It has tropism for CD 8 + T cell
3. It has long latent period of about 40 to 60 years
4. Leukaemia develop in only 3 to 5% of infected individual

Correct answer: 2. It has tropism for CD 8 + T cell

Explanation: HTLV1 causes adult T-cell leukemia/lymphoma (ATLL) Similar to the human immunodeficiency virus, which causes AIDS, HTLV-1 has tropism for CD4+ T cells, and hence this subset of T cells is the major target for neoplastic transformation. A high fraction of the leukemias express the transcription factor Fox P3, a marker of regulatory T cells (Tregs) that act to suppress immune responses.